Opium is derived from -
1. Leaf
2. Root
3. Poppy seed
4. Unripe capsule

Correct answer: 4. Unripe capsule

Explanation: Opium (afim) is the dried extract of the poppy plant (Papaver somniferum). The unripe opium capsules are incised to obtain the extract, which is milky fluid Active principles Opium contains alkaloids, which are divided into two groups: 1. Phenanthrene group: have narcotic properties * Morphine * Codeine * Thebaine (non-analgesic). 2. Benzoisoquinoline group: have mild analgesic but no narcotic properties * Papaverine * Noscapine (narcotine REF;THE SYNOPSIS OF FORENSIC MEDICINE:KS NARAYANA REDDY;28th EDITION;PAGE NO 334